The following statement about Pilonidal Sinus is true :
1. More common in females
2. Mostly congenital
3. Prognosis after surgery is poor
4. Treatment of choice is sugrical excision of sinus tract

Correct answer: 4. Treatment of choice is sugrical excision of sinus tract